Blood culture of a patient shows growth of gram positive cocci which are catalase positive and coagulase negative. The patient was on a CVP line last week. The most likely etiological agent is?
1. Staphylococcus aureus
2. Staphylococcus epidermidis
3. Streptococcus pyogenes
4. Enterococcus faecalis

Correct answer: 2. Staphylococcus epidermidis

Explanation: Ans. (b) Staphylococcus epidermidisRef: Microbiology by Ananthanarayati and Paniker 8th ed. /655, 679STAPHYLOCOCCUS* Gram positive cocci, coagulase and Catalase positive: Staphylococcus aureus* Gram positive cocci, Coagulase negative: Staphylococcus epidermidis and saprophyticus.* Staph. Epidermis infect most commonly through artificial device like: IV canula, Prosthetic device, shunts and implants.* MCC of catheter associated blood stream infection: Staph. Epidermis* MC organism causing prosthetic valve endocarditits: Staph. Epidermis.